A 40-year-old tailor complains of pain, numbness, and weakness of the right hand for the last three months. On examination, there is hypoaesthesia and atrophy of thenar eminence. Which one of the following nerves is likely to be involved?
1. Ulnar
2. Radial
3. Axillary
4. Median

Correct answer: 4. Median

Explanation: Ans. is 'd' i.e. Median nerveRef Maheshwari 3rd/Ep 54, 55The main motor supply of the thenar muscles of hand is by the median nerve, hence its atrophy is s/o paralysis of the median nerve.Motor nerve supply of Median nerve in the handThenar muscles which includeFlexor pollicis brevisOpponens pollicisAbductor pollicisFirst two lumbricalsNote: Adductor pollicis is a thenar muscle which is not supplied by the median nerve. It is supplied by ulnar nerve (deep branch). The deep head of Flexor pollicis brevis is also supplied by the ulnar nerve.Also, know:Motor branches of the median nerve in the forearm.* All the flexor muscles of the forearm except the flexor carpi ulnaris and medial half of flexor digitorum profundus